Chronic discharging sinus with bone particle is seen in?
1. Chronic osteomyelitis
2. Acute osteomyelitis
3. Subacute osteomyelitis
4. Garre's osteomyelitis

Correct answer: 1. Chronic osteomyelitis

Explanation: Ans. is 'a' i.e., Chronic osteomyelitis Clinical features of chronic osteomyelitis The commonest presenting symptom is a chronic discharging sinus. a history of bone piece discharge from the chronic sinus is considered diagnostic of chronic osteomyelitis. Pain is minimal or absent. Generalized symptoms of acute osteomyelitis are not present except in acute excacerbations. On examination there is irregular thickening of bone.Mi Id tenderness may be seen in deep palpation. Adjacent joint may be stiff. Radiological features Following are radiological features : - Thickening and irregularity of the cortices. Patchy sclerosis Bone cavity : This is seen as an area of rarefaction surrounded by sclerosis. Sequestrum(Manipal 97) : This appears denser than the surrounding normal bone because the decalcification which occurs in normal bone, does not occur in dead bone. Granulation tissue surrounding the sequestrum gives rise to a radiolucent zone around it. A sequestrum may be visible in soft tissue. Involucrum and cloacae may be visible.